Cyclops is an intermediate host for
1. Malaria
2. Guinea worm
3. Rabies
4. Salmonella

Correct answer: 2. Guinea worm